Village health nutrition day (VHND) is observed:-
1. Every week
2. Every month
3. Every six months
4. Every year

Correct answer: 2. Every month

Explanation: Village health and nutrition day : Under NRHM, VHND is observed 'Once every month' in every village. Usually organized at Anganwadi center. Purpose: To improve access to maternal, newborn, child health and nutrition services at the village level. ASHA, AWW & ANM organize VHND and mobilize women, adolescents, children.